Under which section, police can ask the doctor to examine without the accused person's consent:
1. Sec 52 IPC
2. Sec 53 CrPC
3. Sec 54 CrPC
4. Sec 92 IPC

Correct answer: 2. Sec 53 CrPC

Explanation: Ans. Sec 53 CrPC